Which one of the following diseases is endogenous in origin-
1. Aspergillosis
2. Candidiasis
3. Phycomycosis
4. All of the above

Correct answer: 2. Candidiasis